Shortest diameter of female pelvic inlet is:
1. Obstetric conjugate
2. Diagonal conjugate
3. True conjugate
4. None

Correct answer: 1. Obstetric conjugate

Explanation: Ans: a (Obstetric conjugate) Ref: Dutta, 6th ed,p. 88Obstetric conjugate is the shortest antero-posterior diameter of female pelvic inlet. Diagonal conjugate (DC)True conjugate(Anatomical)Obstetric conjugateDistance: from mid point of sacral promontory to...Lower border of symphysis pubisUpper border of symphisis pubisMidline projection of Symphisis pubisMeasureMeasured by12 cmPelvimetry11 cmDC--1 cm10 cmDC-1.5 cm